Ethanol is given in methyl alcohol poisoning because:
1. It inhibit alcohol dehydrogenase
2. It inhibit aldehyde synthetase
3. It binds 100 times stronger than methanol
4. None

Correct answer: 1. It inhibit alcohol dehydrogenase

Explanation: Ethanol is preferentially metabolised by alcohol dehydrogenase over methanol.At a concenteration 100mg/DL in blood it saturates alcohol dehydrogenase over methanol &retads methanol metabolism. This reduces formation of formaldehyde & formic acid. Ref KD Tripathi 8th ed.